Common presenting symptom of pneumocystis carini pneumonia Is
1. Cavity on X-ray
2. Haemoptysis
3. Breathlessness
4. Purulent sputum

Correct answer: 3. Breathlessness

Explanation: The key presenting symptom of PCP is progressive dyspnoea.Dry cough & fever are common.Physical findings include tachypnoea,tachycardia,and cyanosis.Chest X ray shows typical 'ground-glass' interstitial infiltrates in the perihilar regions.Pneumatoceles may occur and rupture,resulting in a pneumothorax. Reference: Davidson edition23rd pg 585